A person came to eye OPD for routine eye check u. On snellen's chart he was found to read 6/6. At what distance he should be able to read 6/24
1. 36 m
2. 24 m
3. 6 m
4. 1 m

Correct answer: 2. 24 m

Explanation: What does 6/6 mean in Snellen's chart * It means that the patient with or without glasses can see the letter at a distance of 6 m which a person normally should have been seeing at 6 m Now you would understand it by next example * 6/12 means a letter which a normal patient should be seeing at 12 metre , this patient can see only when he is nearer, that means 6 metre from Target * 6/24 means that a normal patient should be seeing at 24 metre, but this patient has to be much closer that means 6 metre * This also means that the letter written at 6/24 is big enough that 6/6 vision person can read it at even 24 metre